In OCD treatment is based on:
1. Serotonergic receptor
2. Dopaminergic receptor
3. NA receptor receptor
4. Glutamate receptor

Correct answer: 1. Serotonergic receptor

Explanation: A. i.e. Serotonin receptor